Mother to child transmission in vectors is called-
1. Transovarian
2. Mechanical transmission
3. Propagative transmission
4. Cyclodevelopmental transmission

Correct answer: 1. Transovarian

Explanation: Ans. is 'a' i.e., Transovarian {Ref: Park 22nd/ep. 274 & 21st/ep. 274, Ananthanarayan 7th/ep. 416]o When the infectious agent is transmitted vertically from the infected female to her progeny in the vector, It is known as trasnovarian transmission.o Transovarian transmission is seen iny Scrub typhusy Indian tick typhusy Rickettsial poxy Q. fevery Rocky mountain spotted fevery Yellow feverNote ; In Q fever also, there is transovarial transmission in tick. (But no arthropod is involved in its transmission to man).Also knowo Transmission of the disease agent from one stage of life cycle to another as for example nymph to adult is known as trans-stadial transmission.